The most striking haematological finding in agranulocytosis is
1. Decreased absolute neutrophil count
2. Increased absolute easinophil count
3. Decreased absolute hasophil count
4. Increased absolute monocyte count

Correct answer: 1. Decreased absolute neutrophil count